Which antiglaucoma drug decreases aqueous formation-
1. Prostaglandins
2. Beta - blockers
3. Mannitol
4. Pilocarpine

Correct answer: 2. Beta - blockers

Explanation: drug which decreases aqueous production timolol or other betablocker, or brimonidine or dorzolamide Ref.AK Khurana 4th edition page no 223